All of the following criteria are used for diagnosis of obesity hypoventilation syndrome except
1. Hypertension
2. Sleep disorder breathing
3. BMI >= 30 Kg/ m2
4. PaCO2>= 45mmhg

Correct answer: 1. Hypertension

Explanation: CRITERIA for Obesity Hypoventilation syndrome - BMI >30 PCO2 > 45 mmHg Sleep disordered breathing